All of the following statements regarding 'Menisci' is true except:
1. Medial meniscus is more mobile than lateral
2. Lateral meniscus covers more tibial articular surface than lateral
3. Medial meniscus is more commonly injured than lateral
4. Menisci are predominantly made up of Type I Collagen

Correct answer: 1. Medial meniscus is more mobile than lateral

Explanation: The medial meniscus is more stable than the lateral one. All the other options are true. Ref: Orthopedic Sport Medicine : Principles and Practice, Fabrizio Margheritini, 2011, Page 398-406; Gray's, 39 Edition, Page 1477.